Eculizumab is used in treatment of:
1. Acne vulgaris
2. Asthma
3. Paroxysmal nocturnal hemoglobinuria
4. Autoimmune haemolytic anemia

Correct answer: 3. Paroxysmal nocturnal hemoglobinuria

Explanation: Eculizumab is a humanized IgG monoclonal antibody that binds the C5 complement component, inhibiting its cleavage into C5a and C5b thereby inhibiting the terminal pore-forming lytic activity of complement. Eculizumab is approved for patients with paroxysmal nocturnal hemoglobinuria (PNH) and dramatically reduces the need for red blood cell transfusions. Ref: Katzung 11th edition Chapter 61.